In third degree burns all are seen except
1. Painful
2. Vesicles are absent
3. Leathery skin
4. Reddish due to HB infiltration

Correct answer: 1. Painful

Explanation: Third degree burns Full thickness burn Involve all layers of dermis Characterized by hard leathery eschar, that is painless and black, white or cherry red No capillary refilling or pin-prick sensation All dermal and epidermal components are lost Heals only by wound contractures Require excision with skin grafting to heal. Ref: Sabiston 20th edition Pgno :506-507